Guillain Barre syndrome after immunization can be seen in:-
1. Pertussis
2. Measles
3. Diphtheria
4. Killed Infuenza vaccine

Correct answer: 4. Killed Infuenza vaccine

Explanation: Vaccine Reaction Influenza (inactivated) Anaphylaxis Guillain Barre syndrome Oculo-respiratory syndrome TT, Td Brachial neuritis Yellow fever Vaccine associated viscerotropic disease JE Neurologic events OPV Paralysis Hep B > DPT Hypersensitivity, shock Measles TSS, febrile seizures Rotavirus Intussusception Pertussis Hypotensive hyporesponsive episode, persistent inconsolable crying, fever BCG Osteomyelitis, lymphadenopathy MMR Thrombocytopenia